A child from Bihar was brought to OPD with fever. On blood examination,sheathed microfilaria with two nuclei in tail tip is seen . The diagnosis is:
1. B.malayi
2. W.bancrofti
3. Loa loa
4. Oncocerca volvulous

Correct answer: 1. B.malayi

Explanation: This is the characteristic feature of microfilaria of Brugia malayi. Adults localise in the lymphatics and female lays microfilaria Shows nocturnal periodicity, Sheathed, have a non-continuous row of blurred nuclei throughout the length of the body. There are two terminal nuclei in the tail that are distinctly separated from the other nuclei.